Corneal layer responsible for deturgescence –
1. Bowman's membrane
2. Endothelium
3. Epithelium
4. Stromal

Correct answer: 2. Endothelium

Explanation: Endothelial pumps maintain stroma in a relatively deturgesced state (relative state of dehydration) which is responsible for maintenance of transparency.